In which case immunoguided surgery is done?
1. CA colon
2. CA pancreas
3. CA jejunum
4. CA anal canal

Correct answer: 1. CA colon

Explanation: Radio-immunoguided surgery procedureinwhichradiolabeledsubstancesareadministeredandtumorsareexcisedbasedonthelocationofradioactivesignals Radio-immunoguided surgery for colorectal cancer The intra-operative detection of metastatic disease in colorectal cancer depends on tumor associated antigen and antibodies as well as detection technology.